In pyridoxine deficiency, tryptophan is converted to ?
1. Nicotine
2. Acetoacetate
3. Xantheurenic acid
4. Acetyl CoA

Correct answer: 3. Xantheurenic acid

Explanation: Ans. is 'c' i.e., Xantheurenic acid